Labile cells are also known as intermitotic cells because of its characteristics. All of the following are labile cells, EXCEPT:
1. Skin
2. Hepatocytes
3. Bone marrow
4. Gut mucosa

Correct answer: 2. Hepatocytes

Explanation: Labile Cells (Intermitotic Cells):Labile cells normally divide actively throughout life to replace cells that are being continually lost from the body. They have a short G0 (resting, or intermitotic) phase. Continued loss of mature cells of a given tissue is a continuous stimulus for resting cells to enter the mitotic cell cycle. Examples of labile cells include basal epithelial stem cells of all epithelial linings and hematopoietic stem cells in bone marrow. Mature differentiated cells in these particular tissues cannot divide; their numbers are maintained by division of their parent labile cells.Ref: Chandrasoma P., Taylor C.R. (1998). Chapter 6. Healing & Repair. In P. Chandrasoma, C.R. Taylor (Eds), Concise Pathology, 3e.